Which is the most common organ involved in sarcoidosis -
1. Lung
2. Liver
3. CNS
4. Eye

Correct answer: 1. Lung

Explanation: Ans. is 'a' i.e., Lung o Most common organ involved in sarcoidosis is the lung.